Which of the following is an example of an ARCON type articulator?
1. Trubyte articulator
2. Dentatus, ARL articulator
3. Gysi articulator
4. None of the above

Correct answer: 4. None of the above